Which cholesterol is designated as "Good Cholesterol"
1. VLDL
2. LDL
3. HDL
4. IDL

Correct answer: 3. HDL

Explanation: HDL

The level of HDL in serum is inversely related to the incidence of ML
As it is "antiatherogenic" or "protective" in nature, HDL is known as "good cholesterol".